Professional death sentence is given by:
1. Central Health Ministry
2. Medical Council of India
3. Indian Medical Association
4. State Medical Council

Correct answer: 4. State Medical Council

Explanation: Ans. State Medical Council